A rough / chalky surface of the cast is due to all of the following except:
1. Not waiting for 20 min before pouring
2. Excess wetting agent left on impression
3. Air incorporation in the mix
4. Improper powder/water ratio of stone

Correct answer: 3. Air incorporation in the mix

Explanation: Air incorporation in the mix leads to bubbles.